Spleen consists of all except:
1. Red pulp
2. White pulp
3. Subcapsular sinus
4. Splenic cords

Correct answer: 3. Subcapsular sinus

Explanation: Ans. C. Subcapsular sinusSpleen consists of red pulp & white pulp.Red pulp consists of-a. "sinuses" (or "sinusoids"), which are filled with bloodb. "splenic cords"c. White pulp consists of-d. "lymphoid follicles" rich in B-lymphocytese. "Peri arteriolar lymphoid sheaths" (PALS)